In which of the following arthritis erosion are not seen
1. Rheumatoid arthritis
2. Systemic lupus erthematosus
3. Psoriasis
4. Gout

Correct answer: 2. Systemic lupus erthematosus

Explanation: Ref Semantischolar.org